Which of the following arrhythmias is most frequent in Holiday Heart Syndrome:
1. Atrial Flutter
2. Atrial Fibrillation
3. Ventricular Premature Depolarization
4. Ventricular Tachycardia

Correct answer: 2. Atrial Fibrillation

Explanation: Atrial Fibrillation is the most common arrhythmia observed with holiday heart syndrome. Holiday heart syndrome refers to the occurence of acute cardiac rhythm and/or conduction disturbances in a person without any clinical evidence of structural heart disease after a Binge of Alcohol consumption (Binge Drinking).The most common arrhythmia associated with holiday Heart syndrome is Atrial Fibrillation. Alcoholic cardiotoxicity: Holiday Heart syndrome: Typically appears after a drinking binge Presents with arrhythmia without overt heart failure Atrial fibrillation is most frequently observed arrhythmia Atrial flutter or Ventricular premature depolarisation may also be seen. DIlated Cardiomyopathy: Seen with chronic consumption of large quatities of alcohol Presents with heart failure Ref: Braunwald's Heart Disease: A Textbook of Cardiovascular medicine